In apoptotic permeabilization of membrane occurs in
1. Nuclear membrane
2. Pytoplasmic membrane
3. Lysosome
4. Mitochondrial membrane

Correct answer: 4. Mitochondrial membrane

Explanation: Mitochondrial membrane ruptures releasing substances like cytochrome c ....which play major role in apoptosis Ref guyton and hall textbook of medical physiology 12/e pg 40